Posterior cutaneous nerve of thigh supplies skin overlying:
1. Medial aspect of thigh
2. Posteroinferior aspect of buttock
3. Scrotum
4. All

Correct answer: 4. All

Explanation: A i.e. Medial aspect of thigh; B i.e. Posteroinferior aspect of buttock; C i.e. Scrotum